Black color in Triage is for
1. Unsalvageable
2. Immediate resuscitation
3. Highest priority patients
4. Ambulatory patients

Correct answer: 1. Unsalvageable